The body tissue that grows rapidly but shows minimal growth after the age of 6-7 years is:
1. Neural tissue
2. Lymphoid tissue
3. Skeletal tissue
4. Genital tissue

Correct answer: 1. Neural tissue